Hardly-weinberg law is related to -
1. Population genetics
2. Health economics
3. Social medicine
4. None of the above

Correct answer: 1. Population genetics

Explanation: Hardly-weinberg law is related to population genetics Hardly-weinberg law states that the relative frequencies of each allele tends to remain constant from generation to generation in the absence of of forces that change the gene frequencies. ref; (page no;827) 23rd edition of PARK's textbook of Preventive and Social medicine